In cardiac cycle, opening of mitral valve occurs at the
1. End of isovolumetric contraction
2. Beginning of isovolumteric relaxation
3. End of isovolumetric relaxation
4. Beginning of isovolumetric contraction

Correct answer: 3. End of isovolumetric relaxation

Explanation: At the end of isovolumetric relaxation, when right atrial pressure becomes more than right ventricle, mitral valve opens.